Where does the blastocyst normally implant?,
1. Functional layer of the cervix
2. Functional layer of the endometrium
3. Basal layer of the endometrium
4. Myometrium

Correct answer: 2. Functional layer of the endometrium

Explanation: B. The blastocyst implants in the functional layer of the uterine endometrium. The uterus is composed of the perimetrium, myometrium, and endometrium. Two layers are identified within the endometrium: (1) the functional layer, (compact and spongy layers) which is sloughed off at menstruation, If fertilization does occur, this layer assists in implantation and contributes to formation of the placenta. (2) the basal layer, which is retained at menstruation and serves as the source of regeneration of the functional layer. During the progestational phase of the menstrual cycle, the functional layer undergoes dramatic changes; uterine glands enlarge and vascularity increases in preparation for blastocyst implantation.